Multinucleate giant cells are seen in Tzank smear in -
1. VZV
2. Bullous pemphigoid
3. Toxic epidermal necrolysis
4. Pemphigus

Correct answer: 1. VZV

Explanation: Ans. is 'a' i.e., VZV Tzank smear findings in bullous disordersDisordersFindingso Pemphiguso Bullous pemphigoido Varicella-zoster infectiono Herpes simplex infectiono Toxic epidermal necrolysisAcantholysisPredominantly eosinophilsMultinucleated giant cellsMultinucleated giant cellsNecrotic cells